A 46 year old man met with an accident, which involved his perineal region. A comprehensive examination reveals a tear of the inferior boundary of the superficial perineal space. Which of the following structures would most likely be injured
1. Colles' fascia
2. Scarpa's fascia
3. Endopelvic fascia
4. Perineal membrane

Correct answer: 1. Colles' fascia

Explanation: The patient has injury in the perineal region, leading to a tear in the Colles' fascia, which forms the inferior boundary (floor) of superficial perineal space/pouch. Superficial perineal pouch (Boundaries): Superior (roof) - Perineal membrane Inferior (floor) - Colles' fascia In front -Open and communicating with anterior abdominal wall through superficial inguinal space Behind - Closed In the anterior abdominal wall, superficial fascia has 2 layers:1. Camper's fascia - Fatty layer2. Scarpa's fascia - Deeper membranous layerScarpa's fascia (superficial abdominal fascia) becomes continuous with the penile-scrotal fascia and subsequently, the Colle's fascia, as well. Colle's fascia serves as the floor (inferior boundary) of superficial perineal pouch and joins the perineal membrane (which serves as the roof (superior boundary) of superficial perineal pouch).*Endopelvic fascia lies at the roof (superior boundary) of deep perineal pouch.